Bile aesculin agar is the culture media for
1. Group A streptococcus
2. Group B Streptococcus
3. Group C Streptococcus
4. Group D Streptococcus

Correct answer: 4. Group D Streptococcus

Explanation: Group D streptococcus has enteroccus feacalis / faecium.
Culture media - Bile aesculin agar.